Schwartz s sign is seen in:
1. Otosclerosis
2. Meniere's disease
3. Retrocochlear lesion
4. None

Correct answer: 1. Otosclerosis

Explanation: Ans. (a) OtosclerosisRef: Dhingra 5th Ed. /. 461, 98-99* Schwartz sign is a pink reflex, seen through intact tympanic membrane, in the area of oval window. It indicates active otosclerosis usually during pregnancy.* Otosclerosis is an abnormal bone growth in the middle ear that causes hearing loss.Symptoms* Hearing loss* Paracusis willi: An otosclerotic patient hears better in noisy surrounding.* Tinnitus* Vertigo* SpeechSigns* Schwartz's sign: A reddish hue seen on the promontory through the tympanic membrane. This is indicative of active focus with increased vascularity.* Pure tone audiometry shows loss of air conduction, more for lower frequencies* Carhart's notch: there is a sudden dip at 2000 Hz in bone conduction curve.Also Know* Don't get confused between schwartz sign and Schwartz surgery.* Schwartz surgey is a simple mastoidectomy or cortical mastoidectomy in case of mastoiditis.